Most common location for chronic gastric ulcer:
1. Pylorus of stomach
2. Lesser curve near proximal stomach
3. Lesser curve near incisura
4. Greater curvature

Correct answer: 3. Lesser curve near incisura

Explanation: Ref. API Textbook of Medicine. Pg. 812
 
Most common site -lesser curve near incisura angularis .

Duodenal ulcer -Most common site -1st part of duodenum (overall most common site for peptic ulcer)
Most common complication of peptic ulcer is gastrointestinal bleeding because of the erosions of gastroduodenal artery.